Fasting blood sugar in normal individuals is:
1. 80-100 mg/100 ml
2. 100 -120 mg/100 ml
3. 120 -140 mg/100 ml
4. 140-160 mg/100 ml

Correct answer: 1. 80-100 mg/100 ml

Explanation: Ans. A: 80-100 mg/100 mlFBS in early morning is normally 80-90 mg/100 ml and 110 mg/100m1 is considered to be the upper limit of normal.